Multiple brain abscesses are characteristic of
1. Cyanotic heart disease
2. Otitis media
3. Hematogenous
4. Hemorrhage

Correct answer: 3. Hematogenous

Explanation: (C) Hematogenous # Metastatic abscesses are commonly located in the parietal, frontal, or temporal lobes, and multiple brain abscesses are usually the result of metastatic spread from remote primary foci, accounting for 6% to 22% of cases.> Most common cause of brain abscesses was haematogenous spread, accounting for 26% of the episodes.